Which ester local anesthetic undergoes significant liver metabolism -
1. Tetracaine
2. Cocaine
3. Procaine
4. Chloroprocaine

Correct answer: 2. Cocaine

Explanation: The exception to hydrolysis of ester local anesthetic in the plasma is cocaine, which undergo significant metabolism in liver. Cocaine is a local anesthetic with potential for abuse. It produces euphoria by inhibiting the uptake of catecholamines in the CNS, especially dopamine. it is the only ester local anesthetic which is metabolized by liver. Because of its abuse liability and high toxicity, cocaine use is limited to topical anesthesia of the upper respiratory tract. It is available as 1%, 4% and 10% solutions for topical use. It has intrinsic vasoconstrictor properties along with local anesthetic properties.